"Corner sign of park" is feature of:
1. Scurvy
2. Rickets
3. Battered baby syndrome
4. Sickle cell disease

Correct answer: 1. Scurvy

Explanation: Ans. A. ScurvyScurvy-Radiographic findings:1. Osteoporosis2. Pencil thin cortex3. Wimberger's sign4. Trummerfeld zone of rarefaction5. Corner sign of Park6. Line of Frankel7. Subperiosteal hemorrhage